Which of the following is/are not the features of henoch-Schonlein purpura (HSP) –
1. Abdominal pain
2. Splinter hemorrhage
3. Thrombocytopenia
4. Epistaxis

Correct answer: 3. Thrombocytopenia

Explanation: HSP is characterized by tetrad of palpable purpura, arthritis, glomerulonephritis and abdominal pain.
Less common skin lesions are : nonpalpable macules & patches, urticaria, bullous lesions, vesicles, splinter hemorrhage and ulcerations.
Rarely epistaxis may occur.